Decreased energy production in thiamine deficiency is due to?
1. It is a cofactor for oxidative reduction
2. It is required for transamination reactions
3. It is a coenzyme for alpha ketoglutarate dehydrogenase and pyruvate dehydrogenase in citric acid cycle
4. It is a coenzyme for transketolase in hexose monophosphate shunt

Correct answer: 3. It is a coenzyme for alpha ketoglutarate dehydrogenase and pyruvate dehydrogenase in citric acid cycle

Explanation: Thiamine (vitamin B1) is a water soluble vitamin Thiamine pyrophosphate acts as a coenzyme in the catabolism of carbohydrates and amino acids It is also required for the biosynthesis of acetylcholine and gamma aminobutyric acid (GABA) Cereals are the important dietary sources of thiamine It is present in yeast extract and pork in very high concentrations It is important for energy production as it is a coenzyme for pyruvate dehydrogenase and alpha ketoglutarate dehydrogenase in citric acid cycle (Krebs cycle / Tricarboxylic acid cycle) It is a also a coenzyme for transketolase in pentose phosphate pathway (involved in the production of NADPH) Deficiency of thiamine leads to Beriberi The major forms of beriberi are: Wet beriberi (cardiovascular disease) Dry beriberi (neurological disease) Infantile beriberi Alcoholics are prone to develop Wernicke's encephalopathy due to deficiency of thiamine Reference: Harpers illustrated biochemistry 30th edition